Sperm acquires motility in
1. Seminal vesicle
2. Testes
3. Epididymis
4. Ejaculatory duct

Correct answer: 3. Epididymis

Explanation: The seminiferous tubules of the testes are the starting point for the process, where spermatogonial stem cells adjacent to the inner tubule wall divide in a centripetal direction--beginning at the walls and proceeding into the innermost part, or lumen--to produce immature sperm. Maturation occurs in the epididymis Ref: guyton and hall textbook of medical physiology 12 edition page number:625,626,627